After surgery of 3rd molar, patches of anaesthesia on chin is due to damage of
1. Lingual nerve
2. Inferior alveolar nerve
3. Mental nerve impaction
4. None of the above

Correct answer: 2. Inferior alveolar nerve